Phagocytosis enhanced by coating the surface of antigen is called:
1. Opsonisation
2. Chemotaxis
3. Decoding
4. CFT

Correct answer: 1. Opsonisation

Explanation: Ans: a (Opsonisation)Ref: Ananthanarayan Micro, 7th ed, p. 104 & 6th ed, p. 98